Which of the following drugs should be avoided in a pregnant female with dilated cardiomyopathy?
1. Beta blockers
2. Digoxin
3. ACE inhibitors
4. CCBs

Correct answer: 3. ACE inhibitors

Explanation: Drugs Used for Dilated Cardiomyopathy Medical therapies for congestive heart failure include beta blockers, which should be continued during pregnancy. Digoxin is considered safe in pregnancy. ACE inhibitors and ARBs are known teratogens and are associated with a increased risk of renal, CVS and CNS malformations with first trimester exposure. Exposure after the first trimester carries risk of fetal anuric renal failure and even IUFD.